All of the following muscles form the Rotator cuff EXCEPT
1. Teres minor
2. Subscapularis
3. Deltoid
4. Supraspinatus

Correct answer: 3. Deltoid

Explanation: (C) Deltoid # Rotator cuff:> This is a fibrous sheath formed by the four flattened tendons which blend with the capsule of the shoulder joint and strengthen it.> The muscles which form the cuff arise from the scapula and are inserted into the lesser and greater tubercles of the humerus.> They are 1. Subscapularis 2. Supraspinatus, 3. Infraspinatus and 4. Teres minor.# Musculotendinous cuff of shoulder (or) Rotator cuff:> It is a fibrous sheath formed by four flattened tendons which blend with shoulder joint capsule and strengthen it.> Muscles are: Subscapularis Supra and infraspinatus Teres minor The cuff gives strength to the capsule of the shoulder joint except interiorly. This is why humerus dislocation most commonly occur in downward direction.